A lady with bilateral buccal reticulate white streaks. Pain increases on intake of spicy food and patient gives no H/O tobacco but show amalgam on 3rd molar. Diagnosis?
1. Leukoplakia
2. Lichen planus
3. Aphthous stomatitis
4. Candidiasis

Correct answer: 2. Lichen planus

Explanation: Ans. b. Lichen planusWhite reticulate pattern is commonly seen associated with lichen planus. History of amalgam filling in teeth is also suggestive of lichen planus.